Blood supply of stomach:
1. Rt. Gastric aery
2. Lt. Gastric aery
3. Splenic aery
4. All

Correct answer: 4. All

Explanation: A. i.e. Rt. gastric aery; B. i.e. Left gastric aery; C. i.e. Splenic aery